Which of the following is drained directly to deep inguinal lymph nodes:
1. Glans Penis
2. Perianal area
3. Lower abdominal area
4. Ischiorectal fossa

Correct answer: 1. Glans Penis

Explanation: A. i.e. Glans penis